Hyperpigmentation is seen with which hormone?
1. FSH
2. LH
3. TSH
4. ACTH

Correct answer: 4. ACTH

Explanation: Ans. (d) ACTHRef: Harrison 19th ed. / 401e-4